Uro-rectal septum separates the cloaca into -
1. Rectum and bladder
2. Anus and urethra
3. Allantois and bladder
4. Rectum and unogenital sinus

Correct answer: 4. Rectum and unogenital sinus